Fistula leading to highest electrolyte imbalance is:
1. Gastric
2. Duodenal
3. Sigmoid
4. Rectal

Correct answer: 2. Duodenal

Explanation: In general, the more proximal the fistula in the intestine, the more serious the problem, with greater fluid and electrolyte loss. The drainage has a greater digestive capacity, and the distal segment is not available for absorption of nutrients. Fistula leading to highest electrolyte imbalance is Duodenal fistula